Metabolic encephalopathy presents with -
1. Broca's aphasia
2. Anomic aphasia
3. Transcortical sensory aphasia
4. transcortical motor aphasia

Correct answer: 2. Anomic aphasia